Which of the following thalamic nuclei do not project to neocortex -
1. Intralaminar nuclei
2. Reticular nuclei
3. Pulvinar nuclei
4. Anterior thalamic nuclei

Correct answer: 2. Reticular nuclei

Explanation: Non limbic portion of cerebral hemisphere is known as Neocortex.
Every thalamic nuclei except reticular nuclei sends axon to different part of cortex. The output of reticular nuclei is mainly to other thalamic nuclei.
The dorsal group of thalamic nuclei project to neocortex. These are:
Pulvinar nuclei
Intralaminar nuclei
Anterior (Rostral) nuclei